A body is brought to you for autopsy. On examination of the stomach, smell of bitter almonds is present. The lividity on the body is brick red in colour. Which of the following poison could have been responsible for the individual's death?
1. Phosphorous
2. HCN
3. CO
4. H2S

Correct answer: 2. HCN

Explanation: Phosphorous cause dark brown lividity and is similar to garlic in odour. CO poisoning causes bright red lividity with no peculiar smell. H2S poisoning causes blue green lividity and smells like rotten egg. HCN smells like bitter almonds and causes brick red lividity. Ref: Textbook of Forensic Medicine and Toxicology by Narayan Reddy, Edition 24, page - 126